Roof of Anatomical snuff box is related to
1. Radial artery
2. Basilic vein
3. Superior Branch of radial nerve
4. Superior branch of ulnar nerve

Correct answer: 3. Superior Branch of radial nerve

Explanation: The name 'snuff box' originates from the use of this surface for placing and then sniffing powdered tobacco, or "snuff" Anatomical Snuffbox boundaries Lateral wall Abductor pollicis longus (APL) Extensor pollicis brevis (EPB) Medial Wall Extensor pollicis longus (EPL) Roof Cephalic vein Superior branch of radial nerve Floor Radial styloid, scaphoid, Trapezium and 1st Metacarpal Only content: Radial artery. Ref: Gray's Anatomy 41st edition Pgno: 893